Which is not a fibrous joint:
1. Gomphoses
2. Cranial sutures
3. First costochondral joint
4. Inferior tibiofibular joint

Correct answer: 3. First costochondral joint

Explanation: First costochondral joint is a hyaline cartilage joint (synchondrosis or syscendrosis), which is a type of primary cartilagenous joint. Sutures of skull, Inferior tibifibular joint (syndesmosis), denotalveolar joint (gomphosis) are examples of fibrous joint.